Anterior cruciate ligament prevents :
1. Anterior dislocation of tibia
2. Posterior dislocation of tibia
3. Anterior dislocation of femur
4. Posterior dislocation of femur

Correct answer: 1. Anterior dislocation of tibia

Explanation: A i.e. Anterior dislocation of tibia